Which of the following is not a channelopathy?
1. Cystic fibrosis
2. Liddle's syndrome
3. Tay-sach's disease
4. Hypokalemic periodic paralysis

Correct answer: 3. Tay-sach's disease

Explanation: Channelopathy

A channelopathy refers to a disease involving dysfunction of an ion channel.
Channelopathies are known that involve the ion channels for potassium, chloride, sodium and calcium
Ion channels serve many functions apart from electrical signal transduction: chemical signalling ( Ca 2+ as a second messenger), transepithelial transport, regulation of cytoplasmic or vesicular ion concentration and pH, and regulation of cell volume. Therefore, ion channel dysfunction can cause diseases in many tissues.